Mirror test is used to
1. Assessment of cessation of respiration
2. Assessment for tremors
3. Assessment for heart function
4. Assessment for brain function

Correct answer: 1. Assessment of cessation of respiration

Explanation: Cessation of respiration : this should be complete and continuous. Complete stoppage of respiration for more than 5 minutes usually causes death. Respiration may stop for very short period without causing death. Feather test, mirror test and Winslow's test have only historical importance. Ref: Dr. NARAYANAN REDDYS TEXTBOOK OF FORENSIC MEDICINE PAGE 144